All of the following are associated with Gastric Ulcer's Except:
1. H. Pylori infection
2. High Acid output
3. Smoking
4. Bile Reflux

Correct answer: 2. High Acid output

Explanation: Answer is B (High Acid Output) Gastric ulcers are associated with normal or decreased gastric acid output. High Acid output is a feature of Duodenal Ulcers. `Gastric acid output (basal and stimulated) tend to be normal or decreased in Gastric Ulcer Patient's'- Harrison Aetiological factors in peptic ulceration: Causal factor Gastric ulcer Duodenal ulcer Hellicobacter pylori Important Very important NSAIDs and aspirin Important Important Acid Normal or low acid output High or normal acid output Bile reflux Important Unimportant Smoking Important Important Stress Evidence for head injuries and burns only Family history Uncommon Common